Urea cycle occurs in :
1. Mitochondria
2. Cytoplasm
3. Both
4. ER

Correct answer: 3. Both

Explanation: Pathways occurring In Mitochondria Cytoplasm Both TCA ETC Beta oxidation of Fatty acids Ketone body synthesis Ketone body utilization Glycolysis Glycogen synthesis Glycogen breakdown Fatty acid synthesis Urea Cycle Haem synthesis Gluconeogenesis